Most common mode of spread of tuberculosis to genital tract is :
1. Hematogenous
2. Direct
3. Lymphatic
4. None of the above

Correct answer: 1. Hematogenous

Explanation: Hematogenous